“Bad-trip” is associated with
1. Bhang
2. Ganja
3. LSD
4. Cocaine

Correct answer: 3. LSD

Explanation: • LSD intoxication causes bad trips, which is the acute panic reaction in which the individual experience a loss of control over his self.
• Spontaneous recurrence of LSD, or sometimes cannabis use experience even during a withdrawal state is known as Flash-back.